Transmission of agent by vectors is facilitated by the following ways except one -
1. Contamination with body fluids of vectors
2. Scratching-in of infected feces
3. Ingestion of infected material
4. Regurgitation

Correct answer: 3. Ingestion of infected material

Explanation: Ans. is 'c' i.e., Ingestion of infected material o Methods in which vectors transmit agent are: a) Biting b) Regurgitation c) Scratching in of infective feaces. d) Contamination of host with body fluids of vectors